A 38 year old male presents to OPD with history of progressive sholess of breath since 2 weeks.He gives past history of type II diabetes mellitus. An echocardiogram was done which revealed , an EF of 25% with anterior, septal, and lateral wall motion defects.He is admitted to the ward and stabilized on furosemide, spironolactone, bisoprolol, and ramipril. What would be the next investigation in course of management ?
1. Endomyocardialbiopsy
2. Angiogram
3. Viraltitres
4. Exercise tolerancetest

Correct answer: 2. Angiogram

Explanation: Echocardiogram is a screening tool in Emergency department for looking at wall motion abnormalities . Angiography -Gold standard investigation to assess anatomy, physiology of heart -To assess the vasculature abnormalities. -To evaluate extent and severity of cardiac disease in symptomatic individuals Indications of Angiography: Asymptomatic or Symptomatic Ventricular tachycardia Symptomatic Acute Coronary Syndrome Chest pain syndromes STEMI Congestive Heart failure Pericardial disease Cardiac Transplantation